Burnt rope smell is due to poisoning of ?
1. Cannabis
2. Chloral hydrate
3. Bhang
4. Charas

Correct answer: 1. Cannabis

Explanation: Ans. is 'a' i.e., Cannabis Odors associated with poisoning Garlik like : Phosphorus, arsenic, zinc phosphide, aluminium phosphide (celphos), arsine gas, tellurium, parathion, malathion, arsenic. Rotten eggs : Hydrogen sulphide, mercaptans, disulphiram. Fishy or musty : Zinc phosphide. o Bitter almonds : Cyanide, HCN. Acrid : Paraldehyde, chloral hydrate. o Burnt rope : Cannabis. Kerosene like : Kerosene and organophosphates. Phenolic smell : Carbolic acid.